In which of the following conditions postmortem caloricity may be seen in death due to :
1. Massive haemorrhage
2. Cyanide poisoning
3. Corrosive poisoning
4. Septicemia

Correct answer: 4. Septicemia

Explanation: D i.e. Septicemia Algor mortis or chill of death is cooling of body after death at an average rate of 0.5 - 0.75C per hourQ & attains environmental temperature in about 16-20 hoursQ after death.